A distal shoe type of space maintainer is indicated in
1. Loss of primary anterior tooth
2. If the primary 2nd molar is lost before the eruption of permanent 1st molar
3. If the primary 2nd molar is lost after the eruption of permanent 1st molar
4. Loss of primary 1st molar

Correct answer: 2. If the primary 2nd molar is lost before the eruption of permanent 1st molar